Atheromatous plaque does not contain
1. Cholestrol crystals
2. Neutrophils
3. Smooth muscle fibres
4. Monocytes

Correct answer: 2. Neutrophils

Explanation: The main components of atherosclerotic plaques are 1.Cells: Smooth muscle cells, monocytes/macrophages, T cells2.Extracellular matrix: Collagen, elastic fibers, proteoglycans3.Intra and extracellular lipids(Ref: Robbins 8/e p502)